Hold Pull exercise is used for:
1. Muscles of upper lip
2. Muscles of lower lip
3. Muscles of tongue
4. Masseter

Correct answer: 3. Muscles of tongue

Explanation: Exercises of the Tongue
Exercises of the tongue are done to correct any aberrant tongue swallow patterns:
a. One elastic swallow 
b. Two elastic swallow 
c. Tongue hold exercise
d. Hold pull exercise 
Exercises of the Lip
a. Lip pull exercises
b. Lip over lip exercises 
Key Concept
Hold pull exercise: The tip of the tongue is made to contact the palate in the midline and the mandible is gradually opened. This allows the stretching of the frenum to relieve a mild tongue-tie.